MEN syndrome is associated with increase in ?
1. Papillary ca of thyroid
2. Medullary
3. Follicular
4. Anaplastic

Correct answer: 2. Medullary

Explanation: Ans. is `b' i.e., Medullary o Medullary thyroid carcinoma is associated with MEN syndrome -4 MEN 2A and MEN 2B.